A 30-year-old lady presents with features of malabsorption and iron deficiency anemia. Duodenal biopsy shows complete villous atrophy. Which of the following antibody is likely to be present?
1. Antiendomysial antibodies
2. Anti-goblet cell antibodies
3. Anti-Saccharomyces cerevisiae antibodies
4. Antineutrophil cytoplasmic antibodies

Correct answer: 1. Antiendomysial antibodies